Which is the most common inherited bleeding disorder?
1. Von Wilebrand disease
2. Bernard soulier
3. Glanzmann Thrombasthenia
4. ITP acute

Correct answer: 1. Von Wilebrand disease

Explanation: Von Willebrand disease (vWD) is the most common inherited bleeding disorder. It has an autosomal dominant inheritance. The hallmark of von Willebrand disease is defective platelet adhesion to sub-endothelial components caused by a deficiency of the plasma protein vWf.